A person with prolonged usage of contact lenses presented with irritation of the left eye. After examination a diagnosis of keratitis was made and corneal scrapings revealed the growth of pseudomonas aeruginosa. The bacteria were observed to be multidrug resistant. Which of the following best explains the mechanism of antimicrobial resistance in these isolated pseudomonas aeruginosa strains –
1. Ability to transfer resistance genes from adjacent commonsal flora
2. Improper contact lens hygiene
3. Frequent and injudicious use of topical antibiotics
4. Ability of pseudomonas to produce biofilms

Correct answer: 4. Ability of pseudomonas to produce biofilms

Explanation: Antibiotic resistance to Pseudomonas Aeroginosa strains from contact lens wearer largely results from the ability of these strains to form 'slime enclosed microcolonies' or biofilms.
Biofilm grown cells show increased resistance to biocides and antibiotics through multiple resistance mechanisms.